A Child with kidney transplant developed lymphoproliferative cancer. The most common virus implicated is:
1. CMV
2. Varicella
3. HPV
4. EBV

Correct answer: 4. EBV

Explanation: Answer is D (EBV): The most common virus implicated in Post-Transplant-Lymphoprohftrative-Disorder (PTLD) is Epstein Barr Virus (EB V). Post-Transplant Lymphoproliferative Disease (PTLD) is a well-recognized complication of both solid organ transplantation (SOT) and allogeneic hematopoietic stem cell transplantation (HSCT). It is one of the most common post-transplant malignancies. In most cases, PTLD is associated with Epstein-Barr virus.(EBV) infection of B cells, either as a consequence of reactivation of the virus post-transplantation or from primary EBV infection. In cases of primary infection, EBV may be acquired from the donor graft or, less commonly, from environmental exposure.